A blood donor is not considered for safe transfusion, if he has :
1. Anti HBs Ag +ve
2. Anti HBs Ag and HBc Ag +ve
3. Hbs Ag +ve, & IgM anti HBc +ve
4. Anti HBe +ve

Correct answer: 3. Hbs Ag +ve, & IgM anti HBc +ve

Explanation: Answer is C (Hbs Ag+ and 1gM anti-HBc+) Presence of 'HBszle +ve' status alone with an leM type of anti HBc is indicative of acute viral hepatitis B. Such a patient is certainly not considered safe for transfusion. Anti HbsAe +ve alone : Indicate either Immunization with HBsAg Remote past infection False positive Such a patient is considered safe. Hbc'Ae' is never detectable in the serum, and this is a false proposition altogether. Anti Hbe +ve alone is insufficient data to comment up on. However presence of anti Hbe Ag. indicates HBV infection with low infectivity. Although transfusion is not advisable in this case, this person is safer than option (c).